Commonest type of Hodgkins lymphoma is -
1. Nodular sclerosis
2. Lymphocytic depletion
3. Lymphocytic predominant
4. Mixed cellularity

Correct answer: 1. Nodular sclerosis

Explanation: Ans. is 'a' i.e., Nodular sclerosis